Sorting of protein molecules is performed in
1. Mitochondria
2. Golgi apparatus
3. Nucleosome
4. Endosome

Correct answer: 2. Golgi apparatus

Explanation: Main function of golgi apparatus is protein sorting, packaging, and secretion. Mitochondria are the powerhouse of the cell.Ref: DM Vasudevan - Textbook of Biochemistry, 7th edition, page no: 12